A 2 years male boy presenting with sudden severe dyspnoea, most common cause is -
1. Foreign body
2. Bronchiolitis
3. Asthmatic Attack
4. None

Correct answer: 1. Foreign body